Regarding Suxmethonium all are true except
1. Is metabolised principally by plasma cholinesterase.
2. Use cautiously in patients using echothiopate eye drops for glaucoma
3. Recommended in patients with burns
4. Can cause hyperkalemia

Correct answer: 3. Recommended in patients with burns

Explanation: Succinylcholine causes hyperkalemia in burns patients.